Ivermectin is indicated in Rx of:
1. Scabies
2. Syphilis
3. TB
4. Dermatophytosis

Correct answer: 1. Scabies

Explanation: Ans. A. ScabiesIvermectin is the only drug effective orally in scabies and Pediculosis.Basically an anthelminthic drug used to Rx onchocerciasis.Inhibits glutamate and other ligand gated chloride channels present in invertebrate nerve and muscle cells leading to increased permeability of the cell membrane to chloride ion with hyperpolarization of nerve / muscle cells resulting in paralysis and death of parasite.Dose: 200micrograms/kg.